CD4 is a marker for?
1. Stem cells
2. All leukocytes
3. B - cells
4. T - cells

Correct answer: 4. T - cells

Explanation: Ans. is 'd' i.e., T - cells o See above explanation.